Traetment of Medullary Carcinoma thyroid
1. Surgery and Radioiodine
2. Radiotherapy and chemotherapy
3. Surgery only
4. Radioiodine ablation

Correct answer: 3. Surgery only

Explanation: In medullary carcinoma thyroid , total thyroidectomy is treatment of choice. Radiotherapy can be considered in unresectable cases or after complete surgical resection in few cases. Note : Since medullary thyroid cancer doesnot arise from follicular cells, TSH suppression and RAI (radio active iodine) therapy have no role. Source : Sabiston 20th edition pg 910